Which of the following ECG changes is least likely in a patient with left pneumothorax-
1. Inversion of Twave
2. Left axis deviation
3. Small R wave
4. Electrical alternans

Correct answer: 2. Left axis deviation